Bishop score is used to evaluate:
1. Cervix status
2. Uterine contraction
3. Fetal well being
4. Pelvic assessment

Correct answer: 1. Cervix status

Explanation: Ans: A (Cervix status) Ref: DC Dutta's Textbook of Obstetrics, 7th edn, pg 522Bishop's pre-induction cervical scoring systemScore0123Max ScoreCx positionPosteriorCentralAnterior 2Cx consistencyCx effacementFirm0-30 %Medium40-50%Soft60-70% 2380%+Cx dilatation01-23-45+3Station of head-3-2-1.0+ 1.+23Max Total Score 13 Pre-induction score >= 6 - Favourable< 6 - UnfavourableMost important score - dilatation of cervixThe Essential Components of Active Management of Labour:Antenatal classes (prenatal education).Admission in labour ward after diagnosis of labour.Partographic monitoring of labour with 1 to 1 nursing care.Amniotomy with confirmation of labour.Oxytocin augmentation.Adequate analgesia.Fetal monitoring by auscultation/continuous EFM.AIM -To accomplish delivery within 12 hours of admission without increasing maternal and perinatal morbidity.